The recommended non surgical treatment of stress incontinence
1. Pelvic Floor Muscle Exercises
2. Bladder Training
3. Electrical stimulation
4. Vaginal cone\/weights

Correct answer: 1. Pelvic Floor Muscle Exercises

Explanation: Conservative treatment is the first line of treatment especially in younger women Indications Milder forms of incontinence Patient medically unfit for the surgery Patient doesn't wish to undergo surgery Who have yet to complete their families Methods Pelvic floor muscle training : First line Periniometry Vaginal cones Maximum electrical stimulation Ref: SHAW'S TEXTBOOK OF GYNAECOLOGY; 15th edition; Pg no:192